The highest malignant potential is seen in -
1. Crohn's disease
2. Ulcerative colitis
3. Familial polyposis
4. Infantile polyp

Correct answer: 3. Familial polyposis

Explanation: “Colorectal cancer develops in 100% of untreated FAP patients often before the age of 30”.